The amino acid which is associated With atherosclerosis is -
1. Lysine
2. Homocystein
3. Cysteine
4. Alanine

Correct answer: 2. Homocystein

Explanation: homocystein is a emerging risk factor for atherosclerosis ( Harrison20 pg 1505 table 235-1)